Which of the following is false regarding H pylori ?
1. With chronic infection urease breath test become negative
2. H. pylori infection remains life long if untreated
3. Endoscopy is diagnostic
4. Toxigenic strains usually cause ulcer

Correct answer: 1. With chronic infection urease breath test become negative

Explanation: Ans. is 'a' i.e., With chronic infection urease breath test become negative . Urea breath test is the most consistently accurate test for diagnosis of H. Pylori infection. . It is useful for follow-up after treatment, as it becomes negative after treatment. . In chronic infection it remains positive. About other options . Most H. pylori - colonized person do not develop clinical sequelae. They may carry infection life long. . Endoscopic culture is the most specific test. . Ulcer is caused by strains carrying vacuolating cytotoxin gene.